The normal albumin : globulin (A/G) ratio in blood is
1. 5:02
2. 2:01
3. 1:02
4. 1:01

Correct answer: 2. 2:01

Explanation: Normal albumin : globulin ratio is 1.8 :1to 2:1 Synthesis of albumin exclusively occurs in liver but many globulin are synthesized by B_ lymphocytes conditions with altered albumin globulin ratio high albumin globulin ratio Hypothyroidism Hypogammaglobulinemia Leukemia Glucocorticoids excess Low albumin globulin ratio Overproduction of globulin in condition like multiple myeloma,chronic infection and in some autoimmune disease Under production of albumin in condition like liver cirrhosis , malnutrition, nephrotic syndrome Ref Robbins 9/e p 620